Regarding Natural Killer Cell, all are true except?
1. It is activated by IL-2
2. CD-56 positive
3. Antibody induced proliferation
4. Variant of large lymphocyte

Correct answer: 3. Antibody induced proliferation

Explanation: Natural Killer Cells (or NK cells) are a type of cytotoxic lymphocyte critical to the innate immune  system.
NK cells play is analogous to that of cytotoxic T cells in the vertebrate adaptive immune response.  
CD 56 and CD 16 positive.
Special action against viruses and tumor cells.